A 25 year old female underwent septic abortion, which is the most likely site for embolism of tricuspid valve vegetation?
1. Lung
2. Liver
3. Meninges
4. Spleen

Correct answer: 1. Lung

Explanation: Vegetation over tricuspid valve or pulmonary valve result in pulmonary infarction as the blood moves from right ventricles to the lungs and emboli gets lodged in the pulmonary microcirculation resulting in lung infarction. Clinically, infarcts of the lung present with intense chest pain, respiratory distress and hemorrhagic pleural effusion. Such septic infarcts also produce features of Lung abcess,Pleural rub and or Hemoptysis Ref: Textbook of Pathology By Datta, Pages 128-129 ; Harrison's Internal Medicine, 17th Edition, Page 791